All of the following statements regarding ileocaecal TB are TRUE, EXCEPT:
1. Narrowing of terminal ileum
2. Obliteration of ileocaecal angle
3. Caecum ascends up
4. Apple core sign

Correct answer: 4. Apple core sign

Explanation: Apple core sign is a radiologic feature of carcinoma colon, in this condition when barium passes through a narrow opening surrounded by a tumor it takes on the appearance of an apple core, a classic sign for the diagnosis of cancer. Ileocecal TB: The ileocecal region is most commonly affected in small bowel TB because of physiological stasis, abundant lymphoid tissue, increased rate of absorption in this region and and closer contact of the bacilli with the mucosa of this region. In advanced disease, the cecum classically become conical, shrunken and retracted out of the iliac fossa due to contraction of the mesocolon. There is loss of normal ileocecal angle and the dilated terminal ileum may appear suspended and hanging from a retracted, shortened caecum(goose neck deformity). Narrowing of terminal ileum may occur due to irritability with rapid emptying through a gaping ileocecal valve with a shortened, rigid or obliterated cecum or Sterlin's sign. Ref: Cancer By Susan E. Pories page 72. Diagnostic Radiology : Gastrointestinal and Hepatobiliary Imaging By Berry page 132.